Destructive power of bullet is determined by:
1. Weight of bullet
2. Shape of bullet
3. Size of bullet
4. Velocity of bullet

Correct answer: 4. Velocity of bullet

Explanation: Velocity of bullet Repeat from May 09 Mechanics of Bullet Injury A bullet's ability to produce tissue injury depends on: Bullet velocity- A bullet's ability to injure is directly related to its kinetic energy at the moment of impact. Kinetic energy i.e. E = me /2 The kinetic energy is directly proportional to weight (mass) of the bullet and the square of its velocity. Thus a bullet traveling at twice the speed of a second bullet of equal weight and similar size and shape, possesses four times much energy and injuring power. Tissue density- The greater the tissue density, the greater is the amount of energy discharged by the bullet passing through it and thus greater the injury. Thus a bullet may cause slight damage to the soft tissue, but extensive damage to hard tissue such as bone. Hydrostatic force- Hydrostatic forces increase the impact of injury. When fluid distended hollow organs, (e.g. urine filled bladder, filled stomach, heart filled with blood in diastole) are hit by a bullet, extensive lacerations are produced due to the explosive displacement of the liquid in all directions.